Time taken by tissue to develop frank necrosis is around:
1. 30 minutes
2. 1 hour
3. 2 hours
4. 4 hours

Correct answer: 4. 4 hours

Explanation: The dominant histologic characteristic of infarction is ischemic coagulative necrosis. It is important to recall that if the vascular occlusion has occurred shortly (minutes to hours) before the death of the person, no demonstrable histologic changes may be evident; it takes 4 to 12 hours for the tissue to show frank necrosis. Ref: Robbins 8th edition Chapter 4.